A multiparous woman presenting with postpartum hemorrhage due to placenta increta is best managed by-
1. Hysterotomy with the removal of the adherent placenta
2. Internal iliac artery ligation
3. Hysterectomy
4. Packing the uterus followed by a course of methotrexate

Correct answer: 3. Hysterectomy